About lidocaine, all are true except –
1. LA effect
2. Cardiac arrhythmia
3. Ester
4. Acts on mucous membranes

Correct answer: 3. Ester

Explanation: Lidocaine is an amide local anesthetic with antiarrhythmic effect.
Lidocaine can be used as topical anaesthetic on mucous membrane or skin.